A four year old female presents to the emergency room with fever and a petechial rash. A sepsis workup is performed, and parenteral antibiotics are administered. Gram-negative diplococci are identified in the CSF. Which of the following is true of this condition?
1. Antibiotic prophylaxis of fellow daycare attendees is not necessary
2. The presence of meningitis decreases the survival rate
3. The most common neurologic residual is seizures
4. Shock is the usual cause of death, which most often occurs within 48 hours of hospitalization

Correct answer: 4. Shock is the usual cause of death, which most often occurs within 48 hours of hospitalization

Explanation: Meningococcemia is a fulminant systemic rapidly progressing infection, which results in shock and is followed by death in 20% of children afflicted. The presence of meningitis has been shown to increase the survival rate to approximately 95%. Sensorineural deafness is the most common residual following bacterial meningitis. Penicillin, Ampicillin, or a third generation cephalosporin would be appropriate antibiotics to choose for treatment. Vancomycin spectrum of activity is limited to gram-positive organisms. Ref: Laumann A.E. (2005). Chapter 107. Dermatologic Conditions. In J.B. Hall, G.A. Schmidt, L.D. Wood (Eds), Principles of Critical Care, 3e.